NOT a content of superior mediastinum
1. Pulmonary trunk
2. Thymus
3. Left superior intercostal artery
4. Arch of aorta

Correct answer: 1. Pulmonary trunk

Explanation: Mediastinum refers to the space between two lungs in thorax. SUPERIOR MEDIASTINUM Space above 2nd costal cartilage CONTENTS: thymus, arch of aorta, superior venacava, pulmonary arteries, esophagus, trachea, T1 - T4 vertebra, PICA - 1, 2. INFERIOR MEDIASTINUM Space below superior mediastinum, again divided into anterior, middle and posterior mediastinum. CONTENTS: pulmonary trunk, bronchus, thymus, heart, ascending aorta, PICA 3 - 12 esophagus, descending aorta, T5 - T12 vertebra. Angle between manubrium of sternum & body of sternum is called angle of louis, which is 1630.